SAPEL initiative is associated with:
1. Small pox
2. Plague
3. Leprosy
4. Malaria

Correct answer: 3. Leprosy

Explanation: Special Action Project for Elimination of Leprosy (SAPEL) is an initiative aimed at providint MDT services to patients with leprosy. Ref:National Health Programmes in India, J.Kishore, 10th edition pg: 404